Mycosis fungoides mainly affects
1. B-cells
2. Plasma cells
3. T cells
4. Macrophages

Correct answer: 3. T cells

Explanation: Ans. c (T-cells). (Ref. Robbin, Pathology, 6,h/656, 670, 1191 & Harrison's Medicine 18th/Table 12-8.)MYCOSIS FUNGOIDES (CUTANEOUS T CELL LYMPHOMA) & /SEZARY SYNDROME# It is anindolent disorder of peripheral CD4+T-cells.# It is an indolent lymphoma with several years of eczematous or dermatitic skin lesions before the diagnosis.# The median age of onset is in the mid-fifties. It is more common in males and in blacks.# Patients are usually adults with cutaneous patches, plaques, nodules or generalized erythema.# Characteristically 3 phases are known:- Premycotic - plaque -tumor phase.# The skin lesions progress from patch stage to plaque stage to cutaneous tumors.# In advanced stages, the lymphoma can metastasize to lymph nodes and visceral organs.# Lymphoma involves erythroderma and circulating tumor cells is known as Se'zary's syndrome.# Localized early stage mycosis fungoides can be cured with RT, often total-skin electron beam irradiation# More advanced disease has been treated (palliative) with:- Topical glucocorticoids, Topical nitrogen mustard,- Psoralen with ultraviolet (PUVA), Phototherapy,- Interferon, Antibodies, Fusion toxins, and- Systemic cytotoxic therapy.